Most common sensorineural hearing loss in adults are due to
1. Meneries disease
2. Presbycusis
3. Meatal osteoarthritis
4. Osteosclerosis

Correct answer: 2. Presbycusis